Spina ventosa is seen in:
1. Carpals
2. Phalanges
3. Dorsal spine
4. Shoulder joint

Correct answer: 2. Phalanges

Explanation: TB Of Known as Phalanges Spina Ventosa Shoulder Caries sicca Spine Pott's spine TB involving the carpal bone is quite rare. Order of involvement of TB: spine (Paradiscal) > Hip(acetabulum) > knee (synovium)